Scarlet fever is caused due to?
1. Streptococci
2. Staphylococ
3. Klebsiella
4. Proteus

Correct answer: 1. Streptococci

Explanation: Ans. is 'a' i.e., Streptococci Infections caused by streptococcus pvogenes 1) Respiratory infections . Sore throat is the most common of streptocococcal disease . It may be localised as tonsillitis as in older children and adults or it may involve the pharynx more diffusely (pharyngitis) as in younger children. Otitis media . Mastoiditis . Quincy . Ludwig's angina . Suppurative adenitis . Pneumonia as a complication of influenza or other respiratory viral disease. 2) Skin and soft tissue infections . Erysipelas - Diffuse infection involving the superficial lymphatics. - Occurs in older patients. . Impetigo - Superficial infection of skin (Pyoderma)- Occurs in young patients - Usually involves face and leg. . Cellulitis . Lymphangitis 3) Deep soft tissue infections . Necrotizing fascitis (hemolytic streptococcal gangrene) Myositis - (Most common organism causing myositis is S. aureus) 4) Abscesses - in brain, lungs, liver, and kidney. 5) Scarlet fever . Consists of pharyngitis, accompanied by a characteristic rash. . Caused by production of erythrogenic toxin. 6) Puerperal sepsis . More often caused by group B streptococci. 7) Bacteremia 8) Streptococcal toxic shock syndrome Str. Pyogenes strains M type 1 and 3 forming pyrogenic exotoxin A are responsible. . These strains also known as flesh eating bacteria'. 9) Nonsuppurative complications . Acute Rheumatic fever - Follows persistent or repeated streptococcal throat infections (not skin infection). . Glomerulonephritis - May occur after throat or skin infection perhaps, in the tropics skin infections are more important than throat infections.